Regarding A to prevent HIV transmission from mother to child
1. Given only If CD 4 counts are less than 350
2. If viral copies are more than 1000
3. Given to all pregnant women with HIV irrespective of Gestational age of presentation
4. Single agent is preferred

Correct answer: 3. Given to all pregnant women with HIV irrespective of Gestational age of presentation

Explanation: To prevent HIV transmission from mother to child, A (triple agent) is given to all HIV+ pregnant women irrespective of their gestational age of presentation, CD4 counts and stage of disease.